A young patient is hospitalized with petechiae of oral mucous membrane, marginal gingival hemorrhage and with a platelet count of 45,000/ cc. The BT and Clot Retraction time are increased, RBC and TLC are normal. He is suffering from:
1. Infectious mononucleosis
2. Thrombocytopenic purpura
3. Leukemia
4. Hemophilia

Correct answer: 2. Thrombocytopenic purpura